All of the following statement about Kawasaki's disease are true except -a) It is the most common immune mediated vasculitis in childrenb) Coronary artery aneurysm is seen in 25% of patientsc) Intravenous immunoglobulin is indicated only in patients with coronary artery aneurysmd) Skin, mucus membranes and lymph nodes are involved
1. a
2. ac
3. ad
4. b

Correct answer: 2. ac